Acantholysis means -
1. Diffuse epidermal hyperplasia
2. Loss of intercellular connections
3. Intercellular edema of the epidermis.
4. Abnormal keratinization

Correct answer: 2. Loss of intercellular connections

Explanation: Acantholysis : Loss of intercellular connections resulting in loss of cohesion between keratinocytes.